Safe yield of water is defined as?
1. Yield that is adequate for 95 per cent of the year
2. Yield that is adequate for 97 per cent of the year
3. Yield that is adequate for 99 per cent of the year
4. Yield that is adequate for 99.99 per cent of the year

Correct answer: 1. Yield that is adequate for 95 per cent of the year

Explanation: - Safe yield is generally defined as the yield that is adequate for 95 per cent of the year. - Safe & wholesome water is: Free from colour / odour Free from chemicals Free from biological agents Usable for domestic purposes